Acute exacerbation of COPD is done by all except:
1. Pneumococcus
2. Moraxella catarrhalis
3. H. influenza
4. Staph. aureus

Correct answer: 4. Staph. aureus

Explanation: Bacterias like Pneumococcus , Moraxella catarrhalis are implicated in exacerbation of COPD.